All are true about nucleotide excision repair except ?
1. Removal of damaged bases occurs only on one strand of the DNA
2. It removes thymine dimmers generated by uv light
3. Requires ligase and polymerase
4. Only the damaged nucleotide are removed

Correct answer: 4. Only the damaged nucleotide are removed

Explanation: Cuts are made several nucleotide on either side of the damaged base. The intact strand acts as a template strand for the repair. Many lesions are removed by this nucleotide excision repair.
Ultraviolet induced thymine dimmers are only one example of such lesions. To fill the gap, polymerase and ligase activity is required.